Motilin is secreted by cells in
1. Stomach
2. Duodenum/ileum
3. Pancreas
4. Liver

Correct answer: 2. Duodenum/ileum

Explanation: Motilin is a hormone released from endocrine cells within the epithelium of small intestine. Ref: Guyton,11e